All are true regarding typhoid ulcer, except -
1. Ileum is common site
2. Bleeding is common
3. Stricture is usual and causes obstruction
4. Perforation is common

Correct answer: 3. Stricture is usual and causes obstruction